Cozen test is for
1. Golfer's elbow
2. Tennis elbow
3. Little leaguers elbow
4. Frozen shoulder

Correct answer: 2. Tennis elbow

Explanation: Cozen test is for tennis elbow (Lateral epicondylitis) Golfers elbow -Medial epicondylitis Frozen Shoulder- Adhesive capsulitis Little leaguers elbow- avulsion of tip of medial epicondyle